Prostatic artery is a branch of ?
1. Superior vesical artery
2. Middle vesical artery
3. Inferior vesical artery
4. Superior rectal artery

Correct answer: 3. Inferior vesical artery

Explanation: Protate is supplied by branches (prostatic branches) of :-i) Inferior vesical arteryii) Middle rectal arteryiii) Internal pudendal artery